Which of the following layers are cut during fasciotomy?
1. Skin
2. Skin + subcutaneous fascia
3. Skin + subcutaneous tissue + superficial fascia
4. Skin + subcutaneous tissue + superficial fascia + deep fascia

Correct answer: 4. Skin + subcutaneous tissue + superficial fascia + deep fascia

Explanation: - In the above image fasciotomy is being performed for the lower leg - All the following structure have been incised in fasciotomy: 1. Skin 2. Subcutaneous fat 3. Supra facial fascia 4. Deep fascia - Notice the bulged muscles Fasciotomy is done in: Compartment syndrome (Pressure > 30 mmHg) Q